Arterial supply to epistaxis area are all except -
1. Greater palatine
2. Anterior ethmoidal
3. Posterior ethmoidal
4. Sphenopalatine

Correct answer: 3. Posterior ethmoidal

Explanation: Ans. is 'c' i.e., Posterior ethmoidal o Epistaxis area is Little's area,o Four arteries contribute to little 9s area :Anterior ethmoidal arterySeptal branch of superior labial artery (Branch of facial A).Septal branch of sphenopalatine artery (Branch of maxillary A).Greater palatine artery (Branch of maxillary A).